All are diagnostic features of osteomalacia except:
1. Increased serum calcium
2. Increased alkaline phosphatase
3. Proximal myopathy
4. Looser's zone

Correct answer: 1. Increased serum calcium

Explanation: Ans. A: Increased serum calcium Serum findings of osteomalacia include 1) low serum calcium, 2) low phosphates and 3) high alkaline phosphatase